VDRL is an example of -
1. Slide agglutination
2. Tube agglutination
3. Slide flocculation
4. Tube flocculation

Correct answer: 3. Slide flocculation

Explanation: The Veneral Disease Research Laboratory test (VDRL) is a non-specific test for syphilis and it is a slide flocculation (precipitation) test.